Arch of aorta begins and ends at which vertebral level -
1. C7
2. T1
3. T4
4. T8

Correct answer: 3. T4

Explanation: Ans. is 'c' i.e., T4StructureCervico thoracic levelTracheal bifurcationT4-T5Arch of aortaBegins and ends at T4Xiphoid processT9Splenic axisAlong 10th ribCarotid bifurcation, Hyoid boneC3Upper border of thyroid cartilageC4Level of cricoids cartilageC6 Lumbar levelCeliac trunkT12-L1Superior mesenteric arteryLITranspyloric planeLower border of L1Termination of spinal cordLower border of LI in adults and upper border of L3 in newbornPancreasL1-L2Left renal veinL2Inferior mesenteric arteryL3UmbilicusL3Aortic bifurcationL4Transtubercular planeL5Common iliac ends atL5-S1